Water hammer pulse is seen in-
1. Aortic stenosis
2. Aortic regurgitation
3. Aortic stenosis and Aortic regurgitation
4. Mitral regurgitation

Correct answer: 2. Aortic regurgitation

Explanation: Answer is B (Aortic Regurgitation ): The Water hammer pulse or Corrigan's pulse is characterized by an abrupt and rapid carotid upstroke with a rapid fall off (collapsing pulse). It is characteristic of Aortic Regurgitation.